The main pathway for "De - Novo" synthesis of fatty acids occurs in
1. Mitochondria
2. Nucleus
3. Cytosol
4. None of the above

Correct answer: 3. Cytosol